A sudden increase in total peripheral resistance has all of the following effect Except
1. Increase the diastolic blood pressure
2. Reduce the stroke volume
3. Increase the mean arterial blood pressure
4. Increase cardiac output

Correct answer: 4. Increase cardiac output

Explanation: An increase in total peripheral resistance leads to an increase in mean arterial blood pressure (Mean arterial blood pressure = Cardiac output x Total peripheral resistance). Mean arterial blood pressure is a good measure of afterload, which is a measure of the force the heart must develop during ejection. An increase in total peripheral resistance therefore increases afterload. A sudden increase in total peripheral resistance momentarily reduces stroke volume and, therefore, cardiac output. The reduced ejection leads to an increase in end-systolic volume and a subsequent increase in end-diastolic volume. In the long term, stroke volume is maintained because the left ventricle now develops a greater force of contraction (ventricular systolic pressure increases) and cardiac output returns to normal.